A case of solitary thyroid nodule, Investigation of choice is:
1. T3, T4 estimation
2. Thyroid scan
3. FNAC
4. Excision biopsy

Correct answer: 3. FNAC

Explanation: Ans is 'c' ie FNAC "FNAC is the investigation of choice in discrete thyroid swellings"-Bailey & Love